The pathogenesis of hypochromic anemia in lead poisoning is due to
1. Inhibition of enzymes involved in heme biosynthesis
2. Binding of lead to transferrin, inhibiting the transport of iron
3. Binding of lead to cell membrane of erythroid precursors
4. Binding of lead to ferritin inhibiting their breakdown into hemosiderin

Correct answer: 1. Inhibition of enzymes involved in heme biosynthesis

Explanation: Lead interferes with the synthesis of Heme. Deficiency of heme causes microcytic hypochromic anemia because heme is an integral part of hemoglobin and it is well known that hemoglobin deficiency causes microcytic hypochromic anaemia.